Hematuria may occur in snake bite of -
1. Viper
2. Cobra
3. Sea snake
4. Krait

Correct answer: 1. Viper